Neural ectoderm derivatives are:
1. Corneal stroma
2. Cilliary epithelium
3. Iris stroma
4. Corneal epithelium

Correct answer: 2. Cilliary epithelium

Explanation: B i.e. Cilliary epithelium; E i.e. Sphincter and dilator pupillae musclesNeural crest cells form the mesenchyme of head & neck and contribute to most of the eye including endothelium of cornea & trabecular meshworkQ stroma of cornea, iris, ciliary body and choroid; melanocytes of conjunctiva & uvea; ciliary muscle ganglion & nerves (Schwann cells); Orbital bones & connective tissue; connective sheath & muscle layer of orbital blood vessels; meningeal sheath of optic nerve, sclera & part of vitreous.All Epithelia (except that of iris & ciliary body), the lens and the Lacrimal & Tarsal glands are derived from the surface ectodermQ. Iris and ciliary body epitheliumsQ are derived from neural ectoderm.Structures derived from neural ectoderm include Iris & Ciliary body Epithelium, Smooth muscles of iris (constrictor & dilator pupilae), Retina (REE & 9 sensory layers), Vitreous parts, Optic Nerve, Cup and Vesicle. Mn: "ICE (I see) smooth (constricted & Dilated) Retinal vital parts of Optic NCV (nerve conduction velocity)"Melanocytes present in iris stroma develop from neural crest.Sclera is of neural crest and mesodermal originQLacrimal & tarsal glands, epithelium of cornea & conjunctiva, and crystalline lens develops from surface epitheliumQ; whereas sclera is mesodermalQ in origin.Usually the epithelium develop from ectoderm; & muscles from paraxial mesoderm. But the unique feature of iris is that it's epithelium and musculature (constrictor & dilator pupillae) develop from Neuroectoderm.Q